DNA fingerprinting can be done with all, except:
1. RBC
2. WBC
3. Saliva
4. Spermatozoon

Correct answer: 1. RBC

Explanation: Ans. RBC